Which of the following drug is a SERM useful for treatment of osteoporosis ?
1. Raloxifene
2. Bisphosphonate
3. Strontium
4. Estradiol

Correct answer: 1. Raloxifene